Which of following is not a schneider's first rank symptom-
1. Passivity phenominon
2. Auditory hallucinations
3. Delusions of self reference
4. Delusional perception

Correct answer: 3. Delusions of self reference